Adenosine deaminase in CSF is significantly higher in -
1. Tuberculosis meningitis
2. Bacterial meningitis
3. Viral meningitis
4. Syphilitic meningitis

Correct answer: 1. Tuberculosis meningitis